In which of the following, virus is shed in stool?
1. Herpangina
2. Influenza
3. Varicella
4. Smallpox

Correct answer: 1. Herpangina

Explanation: Herpangina:
Respiratory viral shedding can persist for up to 3 weeks and in the stool for up to 8 weeks. Patients are most contagious at this stage.
Influenza:
People with flu can spread it to others up to about 6 feet away. Most experts think that flu viruses spread mainly by droplets made when people with flu cough, sneeze or talk. 
Varicella (Chickenpox):
Chickenpox is transmitted from person to person by directly touching the blisters, saliva or mucus of an infected person.
Smallpox: 
They spread the virus when they coughed or sneezed and droplets from their nose or mouth spread to other people. They remained contagious until their last smallpox scab fell off.